Diplotene and zygotene stages are seen in -
1. Prophase
2. Metaphase
3. Anaphase
4. Telophase

Correct answer: 1. Prophase

Explanation: Ans. is 'a' i.e., Prophase Meiosiso Meiosis is a process of cell division which is observed only during maturation of sex cells i.e. in final process of gamete formation.o Meiosis consists of tow consecutive divisions, Meiosis 1 and Meiosis II, to yield four haploid gamates from a single diploid grand parent cells.o Hence, the meiosis is called heterotypical or reduction division.o The characteristic of meiosis is that there is no DMA replication between meiosis I and meiosis II.Meiosis Io Meiosis I is divided into following phasesProphase I: It is further divided into following stagesLeptoteneZygotenePachyteneDiploteneDiakinesisMetaphase IAnaphase ITelophase IMeiosis IIo It is divided into following phases1) Prophase II1) Metaphase II1) Anaphase II1) Telophase II